Selenium sulfide is indicated for treating ?
1. Tinea versicolor
2. Tinea corporis
3. Mixed mycotic infections
4. Candidiasis only

Correct answer: 1. Tinea versicolor

Explanation: Ans. is 'a' i.e.,Tinea versicolor Drugs for T. versicolor . Topical --> Selenium sulfide, salicylic acid, solution containing sulfur. . Oral --> Ketoconazo le .